Which of the following anesthetic agent cause hypertension on injection?
1. Ketamine
2. Propofol
3. Halothane
4. Thiopentone

Correct answer: 1. Ketamine

Explanation: In contrast to other anesthetic agents, ketamine increases arterial blood pressure, heart rate, and cardiac output, particularly after rapid bolus injections. These indirect cardiovascular effects are due to the central stimulation of the sympathetic nervous system and inhibition of the reuptake of norepinephrine after release at nerve terminals. Ref: Morgan & Mikhail's clinical anesthesiology 6e